Fluoresciene stain is used in the eye to stain -
1. Cornea
2. Retina
3. Choroid
4. Iris

Correct answer: 1. Cornea

Explanation: Ans. is 'a' i.e., Cornea Important corneal examinationsUsed foro Keratometry, Corneal topography o Specular microscopyo Slit lampo Padiymetero Placido's disco Fluorescein. Alacian blue & Ben sal rose staino Window reflex, slit lamp biomicroscopy, Placidos' discCurvature of cornea Corneal endothelial densityCorneal opacity Thic kness of cornea Corneal sheen Corneal stainingCorneal surface